Tuning fork frequency used in ENT is?
1. 256 Hz
2. 512 Hz
3. 1024 Hz
4. 2048 Hz

Correct answer: 2. 512 Hz

Explanation: ANSWER: (B) 512 HzREF: Dhingra 4th ed page 21Even though tuning forks of frequencies 256,512, 1024, 2048 are used in ENT, however the most preferred and commonly used is 512 HZ since tuning forks of higher frequency have shorter decay time and those with lower frequency produce a sense of bone vibration,